Symptoms of opioid withdrawal are all EXCEPT:
1. Polyuria
2. Yawning
3. Fever
4. Insomnia

Correct answer: 1. Polyuria

Explanation: Polyuria REF: Kaplan & Sadock's Synopsis of Psychiatry 10th ed chapter 12.10DSM-IV-TR Diagnostic Criteria for Opioid WithdrawalEither of the following: (Criterion A)cessation of (or reduction in) opioid use that has been heavy and prolonged (several weeks or longer)administration of an opioid antagonist after a period of opioid useThree (or more) of the following, developing within minutes to several days after Criterion A: (Criterion B)Dysphoric moodNausea or vomitingMuscle achesLacrimation or rhinorrheaPupillary dilation, piloerection, or sweatingDiarrheaYawningFeverInsomniaThe symptoms are not due to a general medical condition and are not better accounted for by another mental disorder.